All are contents of occipital triangle except
1. Greta auricular nerve
2. Suprascapular nerve
3. Lesser occipital nerve
4. Occipital artery

Correct answer: 2. Suprascapular nerve

Explanation: Ref BDC volume3,6th edition pg 87 CONTENTS OF OCCIPITAL TRIANGLE NERVES: Spinal accessory nerve Four cutaneous branches of cervical plexus; lesser occipital, great auricular,anterior cutaneous nerve of neck,suprascapular Muscular branches; two small branches to the levator scapulae, two small branches to the trapezius,nerve to rhomboids C5, C6 roots of brachial plexus VESSELS: Transverse cervical artery and vein Occipital artery LYMPH NODES: Supraclavicular nodes Occipital nodes NOTES: Suprascapular nerve is present in subclavian triangle.